Meiosis occurs in human males in -
1. Epididymis
2. Seminiferous tubules
3. Vas deferens
4. Seminal vesicles

Correct answer: 2. Seminiferous tubules